A 20 year old female patient has non exertional chest pain. On auscultation, she had multiple non-ejection clicks. Investigation of choice would be:
1. Serum markers
2. Chest X-ray
3. Electrocardiography
4. Echocardiography

Correct answer: 4. Echocardiography

Explanation: Ans. D: Echocardiography Ejection clicks/ ejection sounds are high-pitched sounds that occur at the moment of maximal opening of the aortic or pulmonary valves. They are heard just after the first heart sound. The sounds occur in the presence of a dilated aorta or pulmonary artery or in the presence of a bicuspid or flexible stenotic aortic or pulmonary valve. The diastolic correlate of the ejection click is the opening snap, which occurs at maximal opening of a flexibly stenotic mitral or tricuspid valve. Non ejection clicks/ midsystolic clicks occurring with or without a late systolic murmur (crescendo-decrescendo), often denotes prolapse of one/both leaflets of the mitral valve.They are best heard along the lower left sternal border and at the left ventricular apex. ECG is normal commonly in MVP, but may show biphasic/ inverted T waves inleads II, III and aVF. Echocardiography is particularly effective in identifying the abnormal position and prolapse of the mitral valve leaflets.